A 52-year-old man with no history of psychiatric illness in past presents with recent onset of disorientation, fluctuating mental status, abnormal autonomic signs, tremor, and seeing "little snakes" in his house. He has no known history of substance abuse. What is the most likely diagnosis?
1. Schizophrenia
2. Dementia
3. Delirium
4. Depression with psychotic features

Correct answer: 3. Delirium

Explanation: The history is suggestive of sudden onset of disorientation, autonomic instability and hallucinations in a 52 year old person. Most likely diagnosis is delirium.